I131 is the preferred treatment for:
1. Children
2. Young adults with recent onset Graves' disease
3. Elderly patients with ischemic heart disease
4. Pregnant women

Correct answer: 3. Elderly patients with ischemic heart disease

Explanation: (Ref: KDT 6/e p253) I131 is contra-indicated in children and young adults because if hypothyroidism develops in response to radioactive iodine, it is permanent. Use of radioactive iodine is contra-indicated in pregnancy. In ischemic heart disease patients, surgery should be avoided. I131 therapy is a good alternative in such patients.